Which of following `Vibrios' is most commonly associated with ear infections -
1. V. alginolyticus
2. V. parahemolyticus
3. V. vulnificus
4. V. fluvialis

Correct answer: 1. V. alginolyticus